Vestibular-ocular reflex is important for perception of:
1. Colour
2. Size
3. Image
4. Distance

Correct answer: 3. Image

Explanation: Ans. C i.e. Image Vestibulo-ocular reflex (VOR) It is a reflex eye movement that stabilizes images on the retina during head movement by producing an eye movement in the direction opposite to head movement, thus preserving the image on the center of the visual field. For example, when the head moves to the right, the eyes move to the left, and vice versa. Since slight head movement is present all the time, the VOR is very important for stabilizing vision: patients whose VOR is impaired find it difficult to read using print, because they cannot stabilize the eyes during small head tremors. The VOR does not depend on visual input and works even in total darkness or when the eyes are closed. However, in the presence of light, the fixation reflex is also added to the movement.